Regarding G6PD deficiency true are ?
1. Autosomal dominant
2. Bite cell (+)
3. Protects against kala azar
4. Enzyme level directly proportional to age of RBC

Correct answer: 2. Bite cell (+)

Explanation: Ans. is 'b' i.e., Bite cell (+) o Glucose -6-Phosphatase dehydrogenase (G6PD) deficiency is an X-linked inherited disorder which is seen more frequently in boys.